Which one of the following sequences places the lipoproteins in the order of most dense to least dense?
1. HDL/VLDL/chylomicrons/LDL
2. HDL/LDL/VLDL/chylomicrons
3. LDL/chylomicrons/HDL/VLDL
4. VLDL/chylomicrons/LDL/HDL

Correct answer: 2. HDL/LDL/VLDL/chylomicrons

Explanation: Because chylomicrons contain the most triacylglycerol, they are the least dense of the blood lipoproteins. Because VLDL contains more protein than chylomicrons, it is denser than chylomicrons, but less dense than LDL. Because LDL is produced by the degradation of the triacylglycerols of VLDL, LDL is denser than VLDL. HDL is the most dense of the blood lipoproteins. It has the most protein and the least triacylglycerol (see Tables below).The Four Major Statin Benefit GroupsPatient StatusStatin TreatmentPatient exhibits clinical atherosclerotic cardiovasculardisease (ASCVD)aIf age<=75 years, a high-intensity statina; if >75 years, or not a candidate for a high-intensity statin, a moderate-intensity statincPatient with LDL-cholesterol >=190 mg/dL; no ASCVDHigh-intensity statin (moderate-intensity statin if not a candidate for high-intensity statin)Patients with type 1 or 2 diabetes aged 40-75 years with LDL- cholesterol between 70 and 189 mg/dL, no ASCVDModerate-intensity statin; if the calculated 10-y ASCVD risk is >=7.5%, a high-intensity statinNo clinical ASCVD or diabetes with LDL-cholesterol between 70 and 189 mg/dL, and an estimated 10-y ASCVD risk of >=7.5%Moderate-to high-intensity statin Characteristics of the Major LipoproteinsLipoproteinDensity Range (g/mL)Particle Diameter (mm) RangeElectrophoretic MobilityLipid(%)a TGCholPLFunctionChylomicrons0.93075-1,200Origin80-952-73-9Deliver dietary lipidsChylomicron remnants0.930-1.00630-80Slow pre-b Return dietary lipids to the liverVLDL0.930-1.00630-80Pre-b55-805-1510-20Deliver endogenous lipidsIDL1.006-1.01925-35Slow pre-b20-5020-4015-25Return endogenous lipids to the liver; precursor of LDLLDL1.019-1.06318-25b5-1540-5020-25Deliver cholesterol to cellsHDL2 1.063-1.1259-12a5-1015-2520-30Reverse cholesterol transportHDL3 1.125-1.2105-9a Reverse cholesterol transportLp(a)1.050-1.12025Pre-b aThe remaining percent composition is composed of apolipoproteins. Chol, the sum of free and esterified cholesterol; HDL, high-density lipoprotein; IDL, intermediate-density lipoprotein; LDL, low-density lipoprotein; Lp(a), Lipoprotein "little" a; PL, phospholipid; TG, triacylglycerols; VLDL, very low-density lipoprotein.